Effect of steroids on calcium
1. Increased plasma level
2. Increased absorption from gut
3. Increased excretion from kidney
4. None

Correct answer: 3. Increased excretion from kidney

Explanation: Steroid hormones lower plasma calcium levels and they increase the renal excretion of calciumRef: Ganong's review of medical physiology; 24th edition; page no:-385